The commonest cause of urethral stricture in a young person is -
1. Trauma
2. Gonococcal
3. Syphilis
4. Tuberculosis

Correct answer: 1. Trauma

Explanation: Post gonococcal stricture is less common since the introduction of effective antibiotic.